Clavicular fracture is usually treated by
1. Traction
2. Open Reduction & Internal fixation
3. Figure of eight bandage
4. Plate & Screw fixation

Correct answer: 3. Figure of eight bandage

Explanation: C i.e. Figure of 8 bandage